A child presents with tuberculosis. Steroids are not indicated in:
1. Tuberculoma
2. Endobronchial tuberculosis
3. Massive pleural effusion
4. Progressive primary pulmonary disease

Correct answer: 4. Progressive primary pulmonary disease

Explanation: Indications of Corticosteroids in TB: Tuberculous meningitis: reduces vasculitis, inflammation & ICP Endobronchial tuberculosis Tuberculous massive pleural effusion Miliary tuberculosis Tuberculous pericardial effusion